Chlamydia causes -a) Infertilityb) Pneumothoraxc) Pelvic inflammatory diseased) Congenital malformation in fetus
1. a
2. ac
3. ad
4. b

Correct answer: 2. ac